A 10-year-old child becomes ill while visiting relatives farm and complained of severe abdominal cramps with vomiting and diarrhea and profuse lacrimation and salivation.Pupillary constriction is marked. The most likely cause is exposure to
1. Herbicides
2. Insecticides
3. Lead-based paint
4. Rat poison

Correct answer: 2. Insecticides

Explanation: ANTICHOLINESTERASES Anticholinesterases (anti-ChEs) are agents which inhibit ChE, protect ACh from hydrolysis--produce cholinergic effects. ANTICHOLINESTERASE POISONING Anticholinesterases are used as agricultural and household insecticides; accidental as well as suicidal and homicidal poisoning is common. muscarinic manifestations:- They are-- * Irritation of eye, lacrimation, salivation, sweating, copious tracheo-bronchial secretions, miosis, blurring of vision, bronchospasm, breathlessness, colic, involuntary defecation and urination. * Fall in BP, bradycardia or tachycardia, cardiac arrhythmias, vascular collapse. * Muscular fasciculations, weakness, respiratory paralysis (central as well as peripheral). * Irritability, disorientation, unsteadiness, tremor, ataxia, convulsions, coma and death. * Death is generally due to respiratory failure. Ref:- kd tripathi; pg num:-105,110,111